A patient presents with malignant hyperthermia and metabolic acidosis. Immediate treatment should be started with:
1. Intravenous Dantrolene
2. Sodium bicarbonate
3. Intravenous fluids
4. Paracetamol

Correct answer: 1. Intravenous Dantrolene

Explanation: Ans. (A) Intravenous dantrolene(Ref: Harrison 18th/147)The current treatment of choice for malignant hyperthermia is the intravenous administration of dantroleneOther important measures are:Discontinuation of triggering agentsSupportive therapy directed at correcting hyperthermia, acidosis, and organ dysfunction.